Auto immune polyglandular syndrome - 1 includes all except?
1. Autoimmune thyroiditis
2. Addison disease
3. Mucocutanneous candidiasis
4. Hypoparathyroidism

Correct answer: 1. Autoimmune thyroiditis

Explanation: Major criteria for Autoimmune polyglandular syndrome - 1 :

Mucocutaneous candidiasis.
Hypoparathyroidism.
Addison disease.